Vigorous treatment of nephritis in SLE is indicated in:
1. Class I & II
2. Class III & IV
3. Class IV & V
4. Class V & VI

Correct answer: 2. Class III & IV

Explanation: Renal Biopsy in SLE: The pattern and severity of injury are important in diagnosis and selecting the best therapy. Aggressive immunosuppressive treatment is indicated in : Class III and IV disease Class V accompanied by III or IV disease Treatment for lupus nephritis is not recommended in class I or II disease or with extensive irreversible changes. Classification of Lupus Nephritis (International Society of Nephrology and Renal Pathology Society) Class I: Minimal Mesangial Lupus Nephritis Class II: Mesangial Proliferative Lupus Nephritis Class III: Focal Lupus Nephritis Class IV: Diffuse Lupus Nephritis Class V: Membranous Lupus Nephritis Class VI: Advanced Sclerotic Lupus Nephritis Ref:Harrison,E-18,P-2733